HIV positive patients present with the following appearance of the leg with a history of HHV-8 infection, what is the most likely diagnosis?
1. Lymphoma
2. Kaposi sarcoma
3. Malignant melanoma
4. Non-Hodgkin's lymphoma

Correct answer: 2. Kaposi sarcoma

Explanation: Ans. (b) Kaposi sarcoma.Kaposi's sarcoma (KS) is a soft tissue sarcoma of vascular origin that is induced by the human herpes virus 8. The incidence of KS increased dramatically during the AIDS epidemic.Image source- style="font-family: Times New Roman, Times, serif">